Catgut is prepared from submucosal layer of the intestine of:
1. Cat
2. Sheep
3. Human being
4. Rabbit

Correct answer: 2. Sheep

Explanation: Ans. (b) Sheep(Ref: Bailey 261e p37-38)Catgut points:* Discovered by John Hunter* Plain catgut is derived from Sheep submucosa of intestine* Plain catgut loses its strength by 50% in 3 days- Complete strength lost by 15 days and absorbed in 60 days* Isopropyl alcohol is used to preserve catgut.